Ascending pharyngeal artery is a branch of -
1. Arch of aorta
2. Inferior thyroid artery
3. Superior thyroid artery
4. External carotid artery

Correct answer: 4. External carotid artery